Efferent's from cerebellum is through
1. Golgi cells
2. Basket cells
3. Purkinje cells
4. Bipolar cells

Correct answer: 3. Purkinje cells

Explanation: The only output from the cerebellum is the axons of Purkinje cells, they are the biggest neurons of CNS & are inhibitory in nature (GABA ) Ref: Ganong 25th ed/page 250